Commonest complication of prosthetic valve is ?
1. Embolism
2. Subacute bacterial endocarditis
3. Rejection
4. Infarction

Correct answer: 1. Embolism

Explanation: Ans. is 'a' i.e., Embolism Thromboembolic complications are the major problem with mechanical valves.